Which of the following nerve serve as the efferent limb for cremasteric reflex?
1. Hypogastric nerve
2. Genito femoral nerve
3. Ilioinguinal nerve
4. All of the above

Correct answer: 2. Genito femoral nerve

Explanation: Ilioinguinal nerve serve as the afferent limb and genitofemoral nerve serve as the efferent limb of cremasteric reflex. Cremasteric reflex is elicited by gently stroking the skin on the upper inner side of the thigh from above downwards. A positive response refers to contraction of the cremasteric muscle and elevation of the testicle on that side. An upper motor neuron injury can cause diminished or loss of the reflex.